What type of pulse is seen in HOCM?
1. Pointed finger pulse
2. Pulsus bisferiens
3. Bifid pulse
4. All of the above

Correct answer: 4. All of the above

Explanation: Due to ventricular outflow obstruction ->->-> Brisk left ventricular contraction ->->-> pressure transmitted to carotids This leads to EARLIER PERCUSSION WAVE This leads to that type of APPEARANCE